First antibody to appear in blood in Acute Hepatitis B is:
1. IgM anti-HBc
2. Anti HBs
3. Anti HBe
4. IgG anti HBc

Correct answer: 1. IgM anti-HBc

Explanation: IgM anti-HBc